The anterior margin of epiploic foramen is a free peritoneal fold that contains:
1. Portal vein, Hepatic artery and bile duct
2. Caudate lobe
3. IVC
4. Pancreatic head

Correct answer: 1. Portal vein, Hepatic artery and bile duct

Explanation: Ans. A. Portal vein, Hepatic artery and bile duct. (Ref BDC, Anatomy - Vol II, 4th/pg. 231-232)Foramen of Winslow/ Epiploic foramen/ Aditus to lesser sac# It is a vertical slit - like opening through which lesser sac communicates with greater sac.# It is situated behind right free margin of lesser omentum at level of T12.Bounderies Of Epiploic Foramen of Winslow1AnteriorlyRight free margin of lesser sac omentum (containing portal vein, hepatic artery & bile duct)2PosteriorlyIVCQ, suprarenal gland & T12 vertebra3SuperiorlyCaudate process of liver4Inferiorly1st part of duodenum & horizontal part of hepatic artery.